Urease breath test is used to diagnose in which bacteria:
1. Streptococci
2. H. pylori
3. C. jejuni
4. Bacteroides

Correct answer: 2. H. pylori

Explanation: Ans. (b) H. pyloriRef: Bailey and Love 27th edition Page 1114* For H. pylori the best non invasive investigation to diagnose the presence - Serology (ELISA)* The best investigation to diagnose eradication C13 and C14 urea breath test. Should be performed after - 4 weeks of therapy* The best invasive investigation (When Endoscopy is Done) to diagnose: Rapid urease test* The stain used for H. pylori: Giemsa or warthin starry stain (Gram staining is not used)* The fecal antigen test also is quite sensitive and specific for active H. pylori infection and may prove more practical in confirming a cure of H. pylori.